Two point discrimination test exhibits maximum sensitivity in -
1. Toes
2. Shin
3. Finger pads
4. Soles

Correct answer: 3. Finger pads

Explanation: Answer- C. Finger padsMost sensitive areas for two point discriminationTip of the tongueFinger tips